True about cadaveric spasm :
1. Develops immediately after death
2. May develop hours after death
3. Develops only in facial muscles
4. All

Correct answer: 1. Develops immediately after death

Explanation: Develops immediately after death Ref ; Narayana reddy 33rd ed.